A 40 yr. old patient is presented with tumour like lesions on arms, legs buttocks and histology showed hyaline acidophilic inclusion bodies. Diagnosis is
1. Cow pox
2. Milker's node
3. Orf
4. Molluscum contagiosum

Correct answer: 4. Molluscum contagiosum

Explanation: All the features are clearly pointing to molluscum contagiosum seen only in humans .molluscum bodies will be seen. Virus can't be cultured Ref: Baveja 5th ed Pg: 441